All of the following structures pass through optic foramen, EXCEPT:
1. Optic nerve
2. Ophthalmic artery
3. Ophthalmic nerve
4. Dural mater

Correct answer: 3. Ophthalmic nerve

Explanation: The optic foramen lies at the orbital apex and transmits the optic nerve and ophthalmic artery. Superior orbital fissure transmits the ophthalmic nerve. Optic foramen: Is a oval opening at the apex of the orbit. It lies between the two roots of the lesser wings of the sphenoid bone. It transmits Optic nerve Ophthalmic branch of internal carotid artery Branches of sympathetic carotid plexus Prolongation of optic nerve sheaths Superior orbital fissure: The superior orbital fissure is bounded by the lesser and greater wings of the sphenoid. Contents: Superior ophthalmic vein Oculomotor nerve (III) Trochlear nerve (IV) Lacrimal, frontal and nasociliary branches of Ophthalmic nerve (V1) Abducent nerve (VI) Orbital branch of middle meningeal artery Recurrent branch of lacrimal artery Superior orbital vein Superior ophthalmic vein Inferior orbital fissure: The greater wing of the sphenoid, the maxilla, and the palatine bones of the orbit form the boundaries of the inferior orbital fissure. The fissure transmits the Maxillary nerve and its zygomatic branch, Infraorbital vessels, Ascending branches from the sphenopalatine ganglion and a vein which connects the inferior ophthalmic vein with the pterygoid venous plexus. Ref: Comprehensive Manual of Ophthalmology, By Ahmed E, Page 4